Most common heart lesion in down syndrome
1. ASD with ostium primum
2. ASD with ostium secundum
3. VSD
4. Coaection of aorta

Correct answer: 1. ASD with ostium primum

Explanation: Ans. is 'a' i.e., ASD with ostium primum About 40% children with down syndrome have congenital heart disease. Endocardial cushion defect (ASD with ostium primum) account for 40-60% of cases.